Sarcoma of the soft tissues spread by
1. Blood vessels
2. Lymphatics
3. Direct invasion
4. Local infiltration

Correct answer: 1. Blood vessels